12 years old presents with fever, unilateral post auricular pain, mastoid bulging and displacing the pinna forward outwards with loss of bony trabeculae. This patient has a history of chronic persistent pus discharge from the same ear. Treatment of choice is
1. Antibiotics only
2. Incision and drainage
3. Antibiotics and incision and drainage
4. Mastoidectomy with incision and drainage and antibiotics

Correct answer: 4. Mastoidectomy with incision and drainage and antibiotics

Explanation: The patient is presenting with features of the postauricular subperiosteal abscess. Treatment for this is antibiotics along with drainage of the abscess and cortical mastoidectomyThe patients have developed this abscess as a complication of CSOM (History of chronic ear discharge) for which he requires mastoidectomyRef: PL Dhingra, Diseases of Ear, Nose & Throat, 7th edition, pg no. 86 - 87